Vidian neurectomy is done for
1. Allergic rhinitis
2. Atrophic rhinitis
3. Vasomotor rhinitis
4. Chronic hypertrophic rhinitis

Correct answer: 3. Vasomotor rhinitis

Explanation: Surgical treatment of vasomotor rhinitis - Vidian neurectomy which is sectioning of parasympathetic secretomotor fibres of nose